The X-ray view for supra orbital fissure is:
1. Towne's
2. Caldwell
3. AP
4. nasal

Correct answer: 2. Caldwell

Explanation: Ans. Caldwell